A case of acute flaccid paralysis must be observed for how many days for residual weakness in poliomyelitis?
1. 30 days
2. 42 days
3. 60 days
4. 90 days

Correct answer: 3. 60 days

Explanation: Poliomyelitis is an acute viral infection caused by a RNA virus which is primarily an infection of the gastro-intestinal tract affecting the central nervous system. Acute flaccid paralysis is a common presentation of poliomyelitis where the patient presents with paralysis of acute onset (less than 4 weeks) and affected limbs are flaccid with decreased tone and diminished or absent deep tendon reflexes. Surveillance is done for all cases of AFP, where patients less than 15 years of age are investigated and should be kept under observation for a minimum of 60 days to check if there is any residual paralysis. Ref: Park's Textbook of Preventive and Social Medicine, 19th Edition, Pages 166-172; Epidemiology and Demography in Public Health By Japhet Killewo, Kristian Heggenhougen, Stella R. Quah, Pages 98-99; Recent Advances in Paediatrics, Pages 91-97; Approach to Practical Pediatrics By Narang, Pages 262-268.